In thyroglossal cyst, carcinoma which arises is -
1. Follicular
2. Medullary
3. Papillary
4. Anaplastic

Correct answer: 3. Papillary